Me Ardle's disease is due to deficiency of -
1. Myophosphorylase
2. Liver phosphorylase
3. Glueuse-6-phosphatase
4. Acid maltase

Correct answer: 1. Myophosphorylase

Explanation: Ans. is 'a' i.e., Myophosphorylase o Deficiency of muscle phosphorylase (myophosphorylase) causes Me Ardle's disease.Type Enzyme deficiencyOrgan (s) affectedIvon Gierke's diseaseGlucose 6-phosphataseLiver, kidneyIIPompe's diseasea (1 - 4) Glucosidase (acid maltase)All organsIIICori's disease/Forbe's diseaseDebranching enzymeMuscle, liverIVAndersen's diseaseBranching enzymeLiver, myocardiumVMcArdle's diseasePhosphorylaseMuscleVIHers' diseasePhosphorylaseLiverVIITarui's diseasePhosphofructokinaseMuscle, RBCsVIII Phosphorylase kinaseLivero There is also on X-linked form of phosphorylase kinase deficiency. This is sole exception as all other glycogen storage diseases are inherited as autosomal recessive trait.